Investigation of choice in ureteric colic is -
1. Noncontrast CT scan
2. USG
3. X ray KUB
4. Contrast enhanced CT scan

Correct answer: 1. Noncontrast CT scan

Explanation: Ans. is 'a' i.e., Noncontrast CT scan o Investigation of choice for renal and ureteric stones - non - contrast spiral CTo Most commonly used investigation to diagnose urinary tract obstruction - USGo Most commonly used initial investigation of urinary tract malignancies (kidney, bladder) - USGo Investigation of choice for diagnosis and staging of RCC - contrast - enhanced CTo Investigation of choice to detect IVC and renal vein involvement in RCC - MRI (lst choice), Doppler USG (2nd choice).o Investigation of choice for hydronephrosis - USGo Investigation of choice for vesicourethral reflex - voiding (micturating) cystourethrogram.o Investigation of choice for posterior urethral valve - voiding / micturating cystourethrogram.o Best method to visualize posterior urethra - voiding cystourethrogram.o Investigation of choice for pyonephrosis - USG